Wide open anterior fontanelle is found in following diseases except:
1. Rickets
2. Cretinism
3. Osteogenesis imperfecta
4. Craniosynostosis

Correct answer: 4. Craniosynostosis

Explanation: d. Craniosynostosis(Ref: Nelson's 20/e p 2817-2819, Ghai 8/e p 41)In Craniosynostosis there is premature fusion of cranial sutures and so fontanelles close early and are small;While, Rickets, Cretinism (Hypothyroidism), Ostoeogenesis imperfecta & Achondroplasia are important causes of large anterior fontanelle.